True about iron deficiency anemia is/are -
1. Howel jolly bodies
2. Anisocytosis
3. Polychromasia
4. All

Correct answer: 2. Anisocytosis

Explanation: Ans. is `b' i.e., Anisocytosis Anisocytosis, hypochromia and poikilocytosis are seen in iron deficiency anemia. o MCV (normal -- 82 to 96 IL) is decreased in iron deficiency anemia (60-90 fL) o Howell-Jolly bodies are seen in megaloblastic anema, after splenectomy and in hemolytic anemia (not in iron deficiency anemia) I think option 'c' requires specific mention here: Polychromasia o Polychromasia refers to variation in erythrocyte coloration. o Normally younger (immature) erythrocytes stain blue with Romanowsky stain, whereas mature erythrocytes stain uniformly orange-pink. o A slight degree of polychromasia is normal i.e. some degree of variation in colour may occur normally. o When immature erythrocytes are released into circulation (from bone marrow) there is significant variation in color of erythrocytes --> Polychromasia. So, variation in color (polychromasia) largely relates to the maturation of cells. o Polychromasia is seen when erythrocytes are released prematurely e.g. in response to erothropoietin or architectural damage to bone marrow (fibrosis, infiltration of bone marrow by malignant cells etc.)